Which of the following is ideal time for repair of cleft palate?
1. 9-12 months
2. 2-3 years
3. 5-6 years
4. 18-24 months

Correct answer: 1. 9-12 months